Autopsy is known by all names except -
1. Obduction
2. Necropsy
3. Biopsy
4. Postmortem examination

Correct answer: 3. Biopsy

Explanation: Ans. is 'c' i.e., Biopsy * An autopsy (also known as a post-mortem examination, obduction, necropsy, or autopsia cadaverum) is a highly specialized surgical procedure that consists of a thorough examination of a corpse by dissection to determine the cause and manner of death and to evaluate any disease or injury that may be present.Rules for medicolegal autopsy* These rules are1. Body should be labelled as soon as it arrives in mortuary.2. The autopsy should be conducted in a mortuary (not in a private room).3. It should be conducted only when there is written order from the police or magistrate. Dead body is accompanied by challan, inquest report or panchnama and FIR. Doctor should first read the inquest report and find out apparent cause of death and obtain all available details.4. It should preferably done in day light.5. The body must be identified by the police constable who accompanies it.6. No unauthorized person should be present at the autopsy.7. In every case autopsy should be meticulous and complete. All the body cavities should be opened and every organ must be examined and whole body should be examined.8. Doctor should record all positive and important negative findings.9. Information must be preserved by written records including photographs, sketches etc.10. The doctor must preserve viscera and send for toxicological examination in case of poisoning.11. After an opinion formed as to the cause and mode of death, the doctor prepares a detailed postmortem report (PM report) in triplicate. One copy is send to investigating police officer, 2nd to superintendent of police or magistrate and third is retained as office copy.12. PM report should not be issued to the party.13. After autopsy is complete the body is handed over to investigating police officer or the authority that has conducted the inquest in that case.